Periodontitis may best be described as
1. A chronic inflammatory disease with periods of remission and exacerbation
2. A chronic inflammatory disease that usually does not manifest itself clinically before the age of 40
3. A degenerative disease of the periodontium
4. An acute inflammatory disease of long duration

Correct answer: 1. A chronic inflammatory disease with periods of remission and exacerbation